Which of the following is NOT a feature of HIV infection in childhood -
1. Failure to thrive
2. Hepatomegaly
3. Lymphoid interstitial pneumonitis
4. Kaposi sarcoma

Correct answer: 4. Kaposi sarcoma

Explanation: Ans. is 'd' i.e., Kaposi Sarcoma "Kaposi sarcoma, commonly seen in men with advanced HIV disease, has been reported only rarely in children". Clinical manifestations of HIV infection in children o Failure to thrive is universal o Lymphadenopathy o P. Carinii pneumonia M.C. AIDS defining illness in children o Dermatological complications o Recurrent and chronic bacterial infections (first sign). o Candidiasis Otitis, Sinusitis, Pneumonia o Lymphoid interstitial pneumonia o Hepatosplenomegaly o Cardiomyopathy o Anemia / Thrombocytopenia / Neutropenia o Hepatitis